Which of the following is contraindication for open reduction & internal fixation (ORIF)?
1. Active infection
2. Soft tissue contractures around the fracture site
3. Soft bones
4. All of the above

Correct answer: 4. All of the above

Explanation: Ans. d (All of the above). (Ref. Orthopedics Maheshwari, 2nd/15; Campbell Orthopaedics 9th/2002)# The conditions, which have high chances of failure with operative treatment i.e., open reduction and internal fixation (ORIF), are:- Osteoporotic soft bone that is too fragile to allow stabilization by internal or external fixation.- Soft tissues overlying the fracture or planned surgical approach of such a poor quality because of scarring, bums, active, severe infection, dermatitis, that internal fixations would result in loss of soft tissues coverage or exacerbation of infection, external fixation is preferred in this situation.- Active infection/osteomyelitis.- Comminuted fracture - Systemic diseases- Undisplaced or stable impacted fractures in acceptable position e.g. Neck femur.